Which of the following calcium channel blocker has a predominant peripheral action?
1. Verapamil
2. Diltiazem
3. Nifedipine
4. Nor-verapamil

Correct answer: 3. Nifedipine

Explanation: Three groups of CCBs include: Phenylalkylamines (verapamil, nor-verapamil) Benzothiazepines (diltiazem) Dihydropyridines (nifedipine, nicardipine, nimodipine, nisoldipine, felodipine and amlodipine). By inhibiting the calcium channels, these agents result in vasodilation and decreased activity of the heart (decrease heart rate, AV conduction and contractility). Dihydropyridine (DHP) group has little direct cardiac activity and acts mainly on blood vessels, therefore are also called peripherally acting CCBs.